Which is not a feature of SIADH?
1. Euvolemia
2. Urine Osmolality > 100 mosm/ kg
3. Low urine sodium
4. Treatment is fluid restriction

Correct answer: 3. Low urine sodium

Explanation: SIADH - Syndrome of inappropriate ADH secretion: * Euvolemia * Urine osmolality > 100 mosm/kg * High urine sodium (>20-30 meq/L) * Treatment is water restriction.